Which of the following does not function as a space maintainer?
1. Lingual arch
2. Stainless steel crown
3. Class II restoration
4. Palatal expander

Correct answer: 4. Palatal expander

Explanation: Lingual arch is the most effective appliance for space maintenance and minor tooth movement in lower arch.
Stainless steel crown and class II restorations, maintain the space and prevent supra-eruption and tipping of adjacent teeth.
Palatal expander is used for palatal expansion. It can increase the space in the arch, however, it cannot be used as a space maintainer.
Textbook of orthodontics, Gowrishankar 2nd edition page 521